Best test for seminal stains is:
1. Barbeiros test
2. Acid Phosphatase test
3. Florence test
4. Alkaline Phosphatase test

Correct answer: 2. Acid Phosphatase test

Explanation: The acid phosphatase test- 1. Level > 25 kA Unit is specific for the test or Undiluted semen has an acid phosphatase activity of 340 - 360 Bodansky U/ml, it is higher in humans as compared to animals. 2. It is +ve also by human RBCs, semen of higher apes and juice of cauliflower. 3. The prostatic secretion element of seminal fluid contains a very much higher percentage of acid phosphatase. 4. This test is conclusive in the absence of demonstrable sperms or in aspermia. 5. Is a quantative test.